Allergic rhinitis treatment include all except
1. Antibiotics
2. Avoiding allergen
3. Corticosteroids
4. Surgery

Correct answer: 1. Antibiotics

Explanation: Antibiotics are not used in allergic rhinitis Treatment of allergic rhinitis include: Avoiding allergen, antihistaminics, Corticosteroids, nasal decongestants, sodium cromoglycate (mast cell stabilizers), leukotriene receptor antagonist (montelukast) and Surgery Ref: PL Dhingra; 6th edition of Ear, Nose and Throat; Pg no 168